The earliest symptom of sympathetic ophthalmitis is:
1. Pain
2. Decreased distant vision
3. Photophobia
4. Diplopia

Correct answer: 3. Photophobia

Explanation: Ans. Photophobia